Ram Devi presented with generalized edema sweating and flushing tachycardia and fever after bee sting. This is:
1. T cell mediated cytotoxicity
2. IgE mediated reaction
3. IgG mediated reaction
4. IgA mediated hypersensitivity reaction

Correct answer: 2. IgE mediated reaction

Explanation: The symptoms of the patient are due to hypersensitivity type I reaction Type I is mediated by IgE and it flairs up within minutes. The symptoms range form rashes to anaphylactic shock with vasodilation hypotension and bronchiolar spasm.